Which of the following situations will lead to increased viscosity of blood:
1. Fasting state
2. Hypoglycemia
3. Multiple myeloma
4. Amyloidogenesis

Correct answer: 3. Multiple myeloma

Explanation: C i.e. Multiple myeloma